Allergic reactions occur with amino ester local anesthetics due to its metabolite:
1. P Aminobenzoic acid
2. Nitrosoamine
3. Both of the above
4. None of the above

Correct answer: 1. P Aminobenzoic acid

Explanation: p-Aminobenzoic acid is one of the metabolites of ester-type compounds that can induce allergic-type reactions in a small percentage of patients. The aminoamides are not metabolized to p-aminobenzoic acid, and reports of allergic reactions to these agents are extremely rare. Ref: Miller's anesthesia-7th ed , Chapter 30.